AT A HIGH ALTITUDE OF 3000MTS A PERSON COMPLAINS OF BREATHLESSNESS .ALL ARE USED AS TREATMENT EXCEPT ?
1. O2 SUPPLY
2. ACETAZOLAMIDE
3. IMMEDIATE DESCENT
4. IV DIGOXIN

Correct answer: 4. IV DIGOXIN

Explanation: ALTITUDE SICKNESS : People in high altitude develop cerebral edema and pulmonary embolism . main treatment of choice is ACETAZOLAMIDE. other mangement protocol : O2 INHALATION, IMMEDIATE DESCENT , DEXAMETHASONE